All of the following 'Reforms' have been proposed by the World Health Report (2008), except -
1. Service Reforms
2. Leadership Reforms
3. Policy Reforms
4. Economic Reforms

Correct answer: 4. Economic Reforms

Explanation: Ans. is 'd' i.e. Economic Reforms